Cervarix vaccine for HPV contains which strains of virus?
1. HPV 6, 11
2. HPV 16, 18
3. HPV 6, 11, 16, 18
4. HPV 16, 18, 31, 33

Correct answer: 2. HPV 16, 18

Explanation: Ans. is 'b' i.e., HPV 16, 18 o Two vaccines are available:# Bivalent vaccine: Cervarix (HPV 16, 18)# Quadrivalent vaccine: Gardasil (HPV 6, 11, 16, 18)